The anesthetic agent which can cause massive hepatic necrosis?
1. Halothane
2. Isoflurane
3. Methoxyflurane
4. N 2 O

Correct answer: 1. Halothane

Explanation: Ans: A (Halothane ) Ref: Miller's textbook of Anaesthesia. 6th: edition.ExplanationHalothane- Effects of HalothaneCVS: Myocardial depression, hypotensionRS: respiratory depression & apneaHepatic: Halothane hepatitisCentrilobular necrosis can occur rarely because of an immune-mediated mechanism triggered by the metabolite of halothane called trifluoroacetic acidHalothane administered in frequent intervals leads to hepatic dysfunction in the post-operative periodNitrous oxideNitrous oxide can diffuse into cavities faster than air, hence dangerous in intestinal obstruction, pneumothorax and air embolismProlonged exposure can cause megaloblastic anemia and neurological deficienciesAvoided in pregnancy because of possible teratogenic effectsMethoxyfluraneMethoxyflurane leads to high output renal failure